X-ray skull characteristically shows "Hair on end"appearance in which of the following disease?
1. Still's disease
2. Scurvy
3. Neuroblastoma
4. Cirrhosis of liver

Correct answer: 3. Neuroblastoma

Explanation: The hair on end sign refers to a radiographic appearance on skull which results from a periosteal reaction manifesting as perpendicular trabeculations interspersed by radiolucent marrow hyperplasia along the skull vault. Mnemonic: H.I.N.E.S.T Hereditary spherocytosis Iron deficiency Anemia Neuroblastoma Enzyme deficiency (e.g. G-6-P deficiency causing Hemolytic Anemia) Sickle cell disease Thalassemia major